Type of skull fracture in which pattern often resembles the type of weapon used:-
1. Fissured fracture
2. Gutter fracture
3. Pond fracture
4. Depressed fracture

Correct answer: 4. Depressed fracture

Explanation: DEPRESSED FRACTUE/SIGNATURE FRACTURE :- Fracture segment is depressed shape of fracture resembles the shape of offending weapon caused by heavy weapon with small striking surface eg. hammer Gutter fracture :- - part of the thickness of bone is removed so as to form of a gutter It is seen in oblique bullets wounds. Pond fracture :- indented fracture smooth concave depression without a fracture line is seen occurs in skull of infants & children